Bivalent HPV vaccine offers protection against HPV types
1. 6, 8
2. 11, 13
3. 16, 18
4. 33, 35

Correct answer: 3. 16, 18

Explanation: Bivalent HPV vaccine (cervarix)- HPV 16, 18 Quadrivalent(gardasil) - HPV 6,11,16,18 HPV 16, 18 - can cause Ca cervix Ref Harrison 20th edition pg 1234